All statements are true about gas cylinders except
1. Pressure of N2O is 745 psig at 20 degrees centigrade
2. Higher pressure indicates impurity in N2O
3. N2O is in liquid form
4. Emergency oxygen 'E' cylinder has more gas than 'H' cylinder

Correct answer: 4. Emergency oxygen 'E' cylinder has more gas than 'H' cylinder

Explanation: .N20 is stored in blue steel cylinders as a colorless liquid under 745 psi pressure and is in equilibrium with the gas phase (approximately 50 atmospheres at room temperature). The tank maintains that pressure until it is empty.